Electroconvulsive therapy is currently advocated as a line of treatment in the following conditions except -
1. Catatonic schizophrenia
2. Severe depression with psychosis
3. Manic-depressive disorder
4. Obsessive-compulsive disorder

Correct answer: 4. Obsessive-compulsive disorder

Explanation: Option a & b do not require explanation here.
About option c -- if maniac phase of MDP shows severe psychosis with risk of suicide or homicide, ECT is indicated.